Tamoxifen causes ?
1. Osteoporosis
2. Endometrial hyperplasia
3. Ovarian cancer
4. Decreased triglyceride level

Correct answer: 2. Endometrial hyperplasia

Explanation: Ans. is 'b' i.e., Endometrial hyperplasia